A 25 year old male present with decrease in vision in both eyes following a viral illness. On examination he had mild decrease in visual acuity and paracentral scotomas. Examination of the fundus showed wedge-shaped parafoveal retinal lesions. What is he MOST likely suffering from?
1. Serpiginous Choroidopathy
2. Birdshot Retinochoroidopathy
3. Acute Macular Neuroretinopathy
4. Acute zonal occult outer retinopathy

Correct answer: 3. Acute Macular Neuroretinopathy

Explanation: Patient is showing features of acute macular neuroretinopathy. It usually occur in young adults following acute viral illness. It is characterised by the acute onset of paracentral scotomas and mild loss of visual acuity of one or both eyes. Examination reveals presence of wedge-shaped parafoveal retinal lesions in the deep sensory retina. In this condition retinal lesions fade but scotomas persists and would be symptomatic. Birdshot Retinochoroidopathy: This syndrome is characterized by diffuse cream-colored patches at the level of the pigment epithelium and choroid, retinal vasculitis associated with cystoid macular edema, and vitritis. Ref: Fletcher E.C., Chong N., Augsburger J.J., Correa Z.M. (2011). Chapter 10. Retina. In P. Riordan-Eva, E.T. Cunningham, Jr. (Eds), Vaughan & Asbury's General Ophthalmology, 18e.